Organism multiplying and developing in the hosts is called as
1. Cyclopropagative
2. Cyclodevelopmental
3. Developmental
4. All

Correct answer: 1. Cyclopropagative

Explanation: Ans. a (Cyclopropagative).(Ref. Park, PSM, 17th/pg.543)BIOLOGIC TRANSMISSIONTypeDefinitionE-g.PropagativeDisease agent undergoes no cyclical change, but multiplies in the body of the vector,Plague bacillus (rat flea)Cyclo-propagativeDisease agent undergoes cyclical change and multiplies in the body of the vector.Malarial parasite (Anopheline mosquito)Cyclo-developmentalDisease agent undergoes cyclical change, but does not multiply in the body of the vector,Filarial parasite (culex mosquito),Guineaworm (cyclops)